Injury to superior laryngeal nerve causes:
1. Hoarseness
2. Paralysis of vocal cords
3. No effect
4. Loss of timbre of voice

Correct answer: 4. Loss of timbre of voice

Explanation: Ans. is d e. Loss of timbre of voice Paralysis of Superior Laryngeal Nerve -causes paralysis of cricothyroid muscle which is a tensor of vocal cord. Clinical Features Voice is weak and pitch cannot be raised. U/L Anaesthesia of larynx above the level of vocal cords causing occasional aspiration.